All are features of Cushing's disease except:
1. Central obesity
2. Episodic hypertension
3. Easy bruising
4. Glucose intolerance

Correct answer: 2. Episodic hypertension

Explanation: Answer is B (Episodic Hypertension): Cushing's syndrome is associated with sustained /persistent hypertension and not episodic hypertension.